Rape is defined under:
1. Sec. 320 IPC
2. Sec. 375 IPC
3. Sec. 376 IPC
4. Sec. 351 IPC

Correct answer: 2. Sec. 375 IPC

Explanation: Ans. Sec. 375 IPC